All of the following are contra-indications for trial labour except:
1. Breech presentation
2. Outlet contraction
3. Primi gravida
4. Post cesarean pregnancy

Correct answer: 3. Primi gravida

Explanation: Primi gravida